Goitrous form of autoimmune thyroiditis is called as:
1. Myxoedema.
2. Hashimoto's disease.
3. Riedel's thyroiditis.
4. All of the above.

Correct answer: 2. Hashimoto's disease.

Explanation: Non goitrous form of autoimmune thyroiditis is called primary myxoedema and goitrous form is called Hashimoto's disease. Presence of high serum titres of antithyroid antibodies is characteristic of autoimmune thyroiditis.